Which of the following does not develop from mesoderm:
1. Muscles of bladder
2. Iris muscle
3. Deltoid muscle
4. LPS

Correct answer: 2. Iris muscle

Explanation: The musculature of the iris is of ectodermal origin, but the ciliary muscle is of mesodermal origin.